A 54-year-old woman presented with left-sided hemiparesis thati s completely resolved . The risk of future stroke is determined by ______ score.
1. BISAP
2. APACHE II
3. APACHE I
4. ABCD2

Correct answer: 4. ABCD2

Explanation: Risk of stroke following TIA is determined by ABCD2 score. Clinical factors Score Age>60 1 SBP>140 mmHg or DBP >90 mmHg 1 Clinical symptoms Unilateral weakness 2 Speech disturbances without weakness 1 Duration >60min 2 10-59min 1 Diabetes 1